Rain drop skull appearance is seen
1. Multiple myeloma
2. Eosinophilic granuloma
3. Pagets disease
4. Sickle cell anemia

Correct answer: 1. Multiple myeloma

Explanation: Ref. Grainger and Allison's Diagnostic Radiology. Page. 409
 
MULTIPLE MYELOMA –RAIN DROP APPERANCE /PUNCHED OUT LESIONS IN THE SKULL
Imp radiological features –

Expansile osteolytic lesions associated with soft tissue masses
Diffuse osteolysis or generalised osteoporosis
Periosteal new bone formation is characteristically absent
Spine –diffuse lytic lesions